Angiographically, the typical "beaded" or "pile of plates" appearance involving the internal carotid artery is seen in -
1. Takayasu's Disease
2. Non-specific aorto-arteritis
3. Fibromuscular dysplasia
4. Rendu-Osler-Weber Disease

Correct answer: 3. Fibromuscular dysplasia